Sitaram a 40-years old man ,met with an accident and comes to emergency department with engorged neck veins, pallor, rapid pulse and chest pain diagnosis is
1. Pulmonary laceration
2. Cardiac tamponade
3. Hemothorax
4. Splenic rupture

Correct answer: 2. Cardiac tamponade